Allergic bronchopulmonary Aspergillosis is commonly a complication of:
1. TB
2. Bronchogenic carcinoma
3. Cystic fibrosis
4. Wegener's granulomatosis

Correct answer: 3. Cystic fibrosis

Explanation: ABPA represents a hypersensitivity to Aspergillus fumigatus. It is common in asthma and teenagers with cystic fibrosis.